Menopause transition of a female is from:
1. 30-49 years
2. 35-49 years
3. 40-51 years
4. 40-60 years

Correct answer: 3. 40-51 years

Explanation: Ans. is c, i.e. 40-51 yearsRef: Williams gynae 3rd/ed, p471Menopause:Transition is between 40-51 years.Average duration = 4-7 yearsAverage age of menopause = 41.5 years.